Central artery of Retina is branch of -
1. External carotid artery
2. Internal carotid artery
3. Ophthalmic artery
4. Basilar artery

Correct answer: 3. Ophthalmic artery